Maximum phosphate is reabsorbed in ?
1. PCT
2. DCT
3. Loop of Henle
4. Collecting duct

Correct answer: 1. PCT

Explanation: Ans. is 'a' i.e., PCT About 60% -70% of filtered phosphate is absorbed in proximal tubule and most of the remaining in distal tubule.